Mutation in which of the following chromosome is associated with meningioma ?
1. Chromosome 1
2. Chromosome 19
3. Chromosome 22
4. Chromosome 9q

Correct answer: 3. Chromosome 22

Explanation: Meningioma is a CNS tumor arising from arachnoid cap cells associated with chromosome 22 mutation.